Specific antibody for SLE is -
1. Anti-Ro
2. Anti-Jo
3. Anti ds DNA
4. Anti-La

Correct answer: 3. Anti ds DNA